Pupil that responds to convergence but light reflex is absent:
1. Adies pupil
2. Argyl Robertson pupil
3. Hutchison pupil
4. Wernicke's pupil

Correct answer: 2. Argyl Robertson pupil

Explanation: Ans. Argyl Robertson pupil